CSF in meningococcal meningitis shows
1. Gram positive Diplococci in pus cells
2. Gram negative Diplococci in pus cells
3. Gram negative bacilli
4. Gram positive bacilli

Correct answer: 2. Gram negative Diplococci in pus cells

Explanation: CSF examination in Meningococcal meningitis: one portion of the CSF is centrifuged and gram-stained smears are prepared from the deposit. Meningococci will be seen inside the polymorphs but extracellularly also. Gram-negative diplococci in pus cells are seen. Reference: Textbook of Microbiology; Anathanarayan and panicker's; 10th edition; Page no: 232